Unconjugated hyperbilirubinemia with increased urobilinogen is seen in:
1. Hemolytic anemia
2. Liver cirrhosis
3. Bile duct obstruction
4. Sclerosing cholangitis

Correct answer: 1. Hemolytic anemia

Explanation: Ans. (a) Hemolytic anemia(Ref: Robbins 9th/pg 631 -632)Unconjugated hyperbilirubinemia with increased urobilinogen is seen in Hemolytic anemia